A 37 year old female patient complains of discoloration with her upper front teeth. Intra-oral examination reveals Intrinsic staining with maxillary incisors. Dentist prepares teeth to receive direct composite veeners. Which of the following  instrument material cannot be used in this case ?
1. Stainless steel
2. Teflon
3. Teflon coated metal
4. Non metallic

Correct answer: 1. Stainless steel